Features suggestive of Acute cholecystitis on CT abdomen are all Except
1. Pericholecystic fluid
2. Presence of gallstones
3. Contratcted gall bladder
4. Air in the gallbladder wall

Correct answer: 3. Contratcted gall bladder

Explanation: Diagnostic criteria for acute cholecystitis on CT includemajor criteriagallstonesthickened gallbladder wallpericholecystic fluid collectionssubserosal oedemaminor criteriagallbladder distentionsludgeContraction of the gallbladder is sen in cholelithiasis, not acute cholecystitis.